Bleeding time assesses
1. Extrinsic clotting pathway
2. Intrinsic clotting pathway
3. Fibrinogen Level
4. Function of platelets

Correct answer: 4. Function of platelets

Explanation: ref Robbins 8/e p666 bleeding time evaluation is used to measure the primary phase of hemostasis, which involves platelet adherence to injured capillaries and then platelet activation and aggregation. The bleeding time can be abnormal when the platelet count is low or the platelets are dysfunctional.